Inferior turbinate is a -
1. Part of maxilla
2. Part of sphenoid
3. Separate bone
4. Part of ethmoid

Correct answer: 3. Separate bone

Explanation: The inferior turbinate is a separate bone, while rest of the turbinates are a part of ethmoidal bone.